Angiofibroma bleeds excessively because -
1. It lacks a capsule
2. Vessels lack a contractile component
3. It has multiple sites of origin
4. All of the above

Correct answer: 2. Vessels lack a contractile component

Explanation: The characteristic of JNA is that the vessels are just endothelial - lined spaces with no muscle coat.
As the contractile component (muscle coat) of vessels is absent, vessels have no ability to contract, i.e. vasoconstriction does not occur, and this accounts for :-


Severe and recurrent epistaxis
Bleeding cannot be controlled by application of adrenaline, a potent vasoconstrictor.